Which of the following are the products of fermentation of dietary fibres in colon?
1. Free radicals
2. Glycerol
3. Butyrate
4. Sucrose

Correct answer: 3. Butyrate

Explanation: Dietary fiber is resistant to breakdown by amylase. Breakdown of fiber occurs a metabolic process known as fermentation, and requires a strict anaerobic environment. Fermentation can also break down any carbohydrates that escape digestion and absorption in the small intestine, such as lactose in patients who are intolerant of this sugar. The products of fermentation are the short chain fatty acids acetate, propionate, and butyrate, which can be absorbed by colonic epithelial cells and used as fuel. Ref: Sharkey K.A., Wallace J.L. (2011). Chapter 46. Treatment of Disorders of Bowel Motility and Water Flux; Anti-Emetics; Agents Used in Biliary and Pancreatic Disease. In L.L. Brunton, B.A. Chabner, B.C. Knollmann (Eds), Goodman & Gilman's The Pharmacological Basis of Therapeutics, 12e.